HIV virus was discovered in?
1. 1976
2. 1983
3. 1996
4. 1988

Correct answer: 2. 1983

Explanation: Ans. (b) 1983 History of HIV In 1981 AIDS was first recognized when US centre for disease control and prevention reported the unexplain occurrences of P. jiroveci infection in five previously health homosexual male. They appear to have lost their immunocompetence. So the condition was given the name "Acquired immune deficiency syndrome" (AIDS). In 1983 Lue montognier and colleagues from pasteur institute, Paris isolated a retro virus from a West African patient with persistent generalized lymphadenopathy and called it lymphadenopathy associated virus (LAV). In 1984 Ader Gallo reported isolation of a retrovirus from AIDS patient and called it human T-cell lymphotrophic virus III. To reduce the nomenclature confusion, the intervational committee on virus nomenclature in 1886 decided a generic name human immuno deficiency virus to the virus isolated from AIDS cases.